Frusemide acts on
1. Ascending limb of LOH
2. PCT
3. DCT
4. Collecting duct

Correct answer: 1. Ascending limb of LOH

Explanation: Ans: a (Ascending limb of Ref: Katzung 11th edLoop diuretics selectively inhibit NaCl reabsorption in the Thick Ascending Limb.Frusemide is a loop diuretic. Because of the large NaCl absorptive capacity of this segment and the fact that the diuretic action of these drugs is not limited by development of acidosis, which is usually seen with the carbonic anhydrase inhibitors.Loop diuretics are the most efficacious diuretic agents currently availableSegmentFunctionsDiuretic with Major ActionGlomerulusFormation of glomerular filtrateNoneProximal convoluted tubule (PCT)Reabsorption of 65% of filtered Na+/ K+/ CA2+, and Mg2+; 85% of NaHC03 , and nearly 100% of glucose and amino acids. I sos mo tic reabsorption of water.Carbonic anhydrase inhibitorsProximal tubule, Straight segmentsSecretion and reabsorption of organic acids and bases, including uric acid and most di ureticsNoneThin descending limb of Henl e's loopPassive reabsorption of waterNoneThick ascending limb of Henle's loop (TAL)Active reabsorption of 15-25% of filtered Na7 K7 CP; secondaryreabsorption of Ca2+ and Mg2+Loop diureticsDistal convoluted tubule (DCT)Active reabsorption of 4-8% of filtered Na+ and Cl"; Ca2+ reabsorption under parathyroid hormone controlThiazidesCortical collecting tubule (CCT)Na+ reabsorption (2- 5%) coupled to K+ and H+ secretionK+-s paring diureticsMedullary collecting ductWater reabsorption under vasopressin controlVasopressin antagonist